Which of the following drugs are believed to be effective in the treatment of postoperative shivering?
1. Ondansetron
2. Diclofenac sodium
3. Pethidine
4. Paracetamol

Correct answer: 3. Pethidine

Explanation: Pethidine is the most effective drug for the treatment of post-operative shivering. Other drugs that can be used for this purpose are clonidine, doxapram, ketanserin and alfentanil.